What is not true about preoperative modification of drugs?
1. Lithium should be stopped 2-3 days before
2. Low dose aspirin should be stopped 7 days before
3. TCAs can be continued till the date of operation
4. Oral anticoagulants are stopped 4 days before

Correct answer: 2. Low dose aspirin should be stopped 7 days before

Explanation: Ans. is 'b' i.e., Low dose aspirin should be stopped 7 days before Antiplatelet drugs like clopidogrel and conventions dose of aspirin should be stopped 7 days prior to surgery.But low dose aspirin can be continued till the day of surgery.